HIV gene is/are
1. Gp73
2. P24
3. GP120
4. None

Correct answer: 4. None

Explanation: Ans. is 'None' HIV genome . P24 and Gp120 are gene products i.e., antigens (not the genes). . The genome of HIV contains three structural genes as well as other non-structural and regulatory genes. . P24 antigens is found in cone shaped core of nucleocapsid . P18 antigen is found in outer icosahedral shell of nucleocapsid . gp-120 and gp-4 1 are envelope glycoproteins.